Millenium development goals formulated in 2000 were to be achieved by -
1. 2005
2. 2015
3. 2010
4. 2020

Correct answer: 2. 2015

Explanation: - During September 2000, representatives of 189 countries met at Millennium Summit in New York to adopt United nations Millennium Declaration. - the goals in the area of development and poverty eradication are now referred as Millennium Development Goals. - Governments have set date of 2015 by which they would meet the MDGs. Reference : Park's textbook of preventive and social medicine, 23rd edition, pg no:893